Most common extranodal site for non - hodkin's lymphoma is -
1. Stomach
2. Brain
3. Intestines
4. Tonsils

Correct answer: 1. Stomach

Explanation: Ans. is 'a' i.e., Stomach Two thirds NHLS and virtually all cases of hodgkins lymphoma present with nontender nodal enlargement Two thirds of NHLS arise at extranodal sites which are skin, stomach or brain.